Maximum score of APACHE
1. 41
2. 51
3. 61
4. 71

Correct answer: 4. 71

Explanation: Answer- D. 71APACHE II ('Acute Physiology and Chronic Health Evaluation II") is a severity-of-disease classification system.The APACHE II system is the most commonly used SOI scoring system in North America.APACHE IV uses a modified statistical model of logistic regression; it is the most recently released version of this scoring system.It is applied within 24 hours of admission of a patient to an intensive care unit (ICU): an integer score from 0 (minimum) to 7l (maximum) is computed based on several measurements; higher scores correspond to more severe disease and a igher risk of death.